The apropriate approach to a neonate presenting with vaginal bleeding on day 4 of life is -
1. Administration of vitamin K
2. Investigation for bleeding disorderl2
3. No specific therapy
4. Administration of 10 ml/kg of fresh frozen plasma over 4 hours

Correct answer: 3. No specific therapy

Explanation: Ans. is 'c' i.e., No specific therapy o Menstural-like bleeding (vaginal bleeding) may occur from the third to seventh day of life. o This is attributed withdrawl of maternal hormones after birth. o The bleeding would subside after 2-3 days and no therapy is required.